Pat's fracture is fracture of
1. Lower end of tibia
2. Lower end of tibia + fibula
3. Lower end of tibia + Calcaneum
4. Calcaneum + Talus

Correct answer: 2. Lower end of tibia + fibula

Explanation: B i.e. Lower end of tibia + fibula Pott's fracture is bimalleolarQ and cotton's fracture is trimalleolar fractureQ. Name of Fracture Site of Fracture Jefferson's Fracture Atlas vertebrae (C1) Hangman's Fracture Axis vertebra (C2) Clayshovellers Fracture Spinous process of C7 veebraeQ Monteggia Fracture Dislocation Fracture of proximal third of ulnaQ with disolation of proximal radioulnar jointQ Galleazzi fracture Dislocation Fracture of distal third of radiusQ with dislocation of distal radioulnar jointQ Colle's Fracture Distal metaphyseal fracture of radius with dorsal displacement & angulationQ Smith's fracture (Reverse Colle's) Hand and wrist displaced volarly with respect to forearm in distal metaphyseal fracture of radius. Barton's Fracture Fracture through the articular surface of distal radius with subluxation of wrist. Chauffer's Fracture Radial styloid fracture Night Stick Fracture Isolated fracture of shaft ulna Bennet's Fracture Dislocation Partial fracture of 1st metacarpal base with trapezium - metacarpal joint dislocationQ Rolando's Fracture Dislocation Comminuted intraarticular (T or V) fractures of base of 1st metacarpal Boxer's fracture Fracture neck of 5th metacarpal Maisonneuve's fracture Ankle fracture a/w spiral fracture of neck of fibula Aviator's fracture Fracture neck of talus Pott's Fracture Bimalleolar (medial & lateral malleolar) fractureQ. Cotton's Fracture TrimalleolarQ (medial, lateral & posterior malleolar) fracture. Pilon (explosion) Fracture When a large force drives the talus upwards against the tibial plafondQ, like a pestle (pilon) being struck into a mortar, causing damage to the aecular cartilage & subchondral bone (into several pieces) Lisfranc's fracture dislocation Fracture dislocation through tarsometatarsal joint Chopart fracture dislocation Through intearsal joints March Fracture Stress fracture of 2nd metatarsal neck Jone's Fracture Fracture of base of 5th metatarsal.